Boutonneuse fever is caused by -
1. Rickettsia japonica
2. Rickettsia conorii
3. Rickettsiasibirica
4. Rickettsiaaustralis

Correct answer: 2. Rickettsia conorii

Explanation: Ans. is 'b' i.e., Rickettsia conorii Tick borne fevers caused by RickettsieOrganismFever causedR. conoriiMediterranean spotted fever (boutonneuse fever)Kenya tick typhusIndian tick typhusSouth African tick typhusIsraeli spotted feverAstrakhan spotted feverR. rickettsiiRocky mountain spotted feverR. AfircaeAfrican tick-bite fever (A similar disease is caused by R. parker in US and A.trisite in South America)R. japonicaJapanese spotted fever (oriental spotted fever) (similar diseae in North Asia is caused by R. sibirica and R. heilongjiangesis)R. honeiFlinders Island spotted feverR. australisQueensland tick typhus